Which of the following is not a pathological finding seen in alzheimer's disease ?
1. Cortical atrophy
2. Neurofibrillary tangles
3. Neuritic plaques
4. Lewy body

Correct answer: 4. Lewy body

Explanation: Ans. is 'd' i.e., Lewy bodyImpoant pathological findings in Alzheimer's disease :?Cortical atrophy with sidening of the cerebral sulciCompensatory ventricular enlargement Hydrocephalus exvacuo.Neuritic (senile) plaques --> Made up of A f390 & Al342.Diffuse plaques Contain Ab42.Neurofibrillary tangles --> Contain tau proteinCerebral amyloid angiopathy.Granulovascular degeneration